Permissible level of fluoride in drinking water as per WHO is:
1. 0.5 mg/litre
2. 1.0 mg/litre
3. 1.5 mg/litre
4. 2.5 mg/litre

Correct answer: 3. 1.5 mg/litre

Explanation: As per WHO, permissible limit of fluoride in drinking water is 1.5 mg/ litre. As per Bureau of Indian Standards (BIS), it is 1 mg/ litre. Dental fluorosis has been reported with exposure to levels > 1.5 mg/ litre. Skeletal fluorosis has been reported on exposure between 3 to 6 mg/ litre. Ref: Park, 21st Edition, Page 668